Loss of social inhibition occurs when the site of disease is?
1. S2-4
2. T10-T12
3. T3-T4
4. Frontal cortex

Correct answer: 4. Frontal cortex

Explanation: Ans. D. Frontal cortexFrontal Lobe LesionA. Foster Kennedy syndromeB. Features: Ipsilateral optic atrophy and contralateral papilledemaC. A tumor of the frontal lobe is likely to damage the pre-frontal network. This presents as two relatively distinct syndromes.a. Frontal disinhibition syndromei. Socially disinhibited and shows severe impairment of judgment, insight and foresight.ii. Antisocial behavior is a characteristic feature of frontal disinhibition syndrome produced from frontal lobe damageb. Frontal abulic syndromei. Loss of initiative, creativity and curiosityii. Pervasive emotional apathy and blandnessiii. Akinetic mutismD. Urinary incontinence can occur in lesion of paracentral lobule area of frontal lobe.E. Frontal release signs - Grasp reflex, palmomental response, rooting reflex.